A 26-year-old primigravida develops gestational diabetes and remains hyperglycemic during the remainder of her pregnancy. Which of the following abnormalities in the newborn child is likely related to the maternal hyperglycemia?
1. Ambiguous genitalia
2. Cretinism
3. Increased birth weight
4. Sheehan syndrome

Correct answer: 3. Increased birth weight

Explanation: - The most common effect of maternal diabetes mellitus on child is increased birth weight, i.e macrosomia. - This also increases likelihood of obstetric complications, including need for cesarean section & increased likelihood of brachial plexus injuries, hyaline membrane disease etc. OTHER OPTIONS: - Ambiguous genitalia can occur in any of adrenogenital syndromes - Cretinism results from deficiency of thyroid hormone during fetal development & during postnatal life. - Sheehan syndrome occurs in mother d/t ischemic injury to pituitary following delivery resulting in pan-hypopituitarism & has no relationship to diabetes.